Turner's hypoplasia most commonly affects:
1. Deciduous maxillary anteriors
2. Deciduous mandibular anteriors
3. Permanent maxillary anteriors
4. Permanent mandibular anteriors

Correct answer: 3. Permanent maxillary anteriors